Painless loss of vision is seen in following except:
1. Vitreous hemorrhage
2. Optic atrophy
3. Developmental cataract
4. Acute Angle closure glaucoma.

Correct answer: 4. Acute Angle closure glaucoma.

Explanation: Ans. d Acute Angle closure glaucoma. (Ref Basak, Ophthalmology, 2nd ed., 215)# Vitreous hemorrhage is associated with sudden painless loss of vision & on attempted ophthalmoscopy the fundamental glow is characteristically absent as the fundus is hidden by a dark red haze of blood. It can occur due to retinal & vitreous detachment, in diabetes, sickle cell disease, hypertension & other ischemic diseases.# Common causes of sudden, painless vision loss include retinal detachment, retinal artery or vein occlusion, and ischemic optic neuritis. Cataracts and open angle glaucoma would be among the most common causes of painless vision loss that is gradual over the course of months or years.# Acute angle closure glaucoma is a cause of acute, painful vision loss.